what is the immediate common posterior relation for the body of uterus and supravaginal portion of cervix is ?
1. rectum
2. coils of ileum and sigmoid colon
3. c) pineal body
4. sacrum

Correct answer: 2. coils of ileum and sigmoid colon

Explanation: The posterior or intestinal surface is convex and is related to coils of the terminal ileum and to the sigmoid colon. It is covered with peritoneum and forms the anterior wall of the rectouterine pouch. The supravaginal part of the cervix is related: (a) Anteriorly to the bladder; (b) posteriorly to the rectouterine pouch, containing coils of intestine and to the rectum. Ref : B D Chaurasia's Human Anatomy , Seventh edition , Volume 2 , pg.no., 420, 421.